A male with azoospermia found to have normal FSH & testosteron levels & normal size testes. Probable cause is
1. Vas obstruction
2. Kaltman syndrome
3. Undescended testis
4. Klinefeltor's syndrome

Correct answer: 1. Vas obstruction